The medicolegal importance of postmortem lividity is all except
1. Cause of death elsewhere
2. Time since death
3. Manner of death
4. Position of the body at the death

Correct answer: 3. Manner of death

Explanation: The postmortem hypostasis helps to estimate time since death with its extent, is a sign of death, posture and moving of body at death by its fixation. Cause of death can be determined from its colour. Dr.Narayana Reddys Synopsis of Forensic Medicine and Toxicology 27th edition pg. 78.